Calculate alveolar ventilation per minute of a patient with respiratory rate of 12/min, tidal volume is 500ml.
1. 6 L / min
2. 4.8 L / min
3. 4.2 L / min
4. 4 L / min

Correct answer: 3. 4.2 L / min

Explanation: Alveolar Ventilation
= (Tidal volume - Dead space) X Respiratory rate
= (500 - 150) X 12
= 350 X 12
= 4.2 L / min